Product of pentose phosphate pathway:
1. ATP
2. Pyruvate
3. NADPH
4. Lactate

Correct answer: 3. NADPH

Explanation: Pentose phosphate pathway/Phosphogluconate pathway/Hexose monophosphate shuntIt is a process that generates NADPH and pentoses (5-carbon sugars).There are two distinct phases in the pathway.- The first is the oxidative phase, in which NADPH is generated, and the- Second is the non-oxidative synthesis of 5-carbon sugars.This pathway is an alternative to glycolysis.While it does involve oxidation of glucose, its primary role is anabolic rather than catabolic.For most organisms, it takes place in the cytosol